Migration studies explains -
1. Distribution of disease
2. Genetic factors affecting disease
3. Social status of immigrants
4. None of the above

Correct answer: 2. Genetic factors affecting disease

Explanation: Ans. is 'b' i.e., Genetic factors affecting disease o Migration study (migrant study) is a method to evaluate role of possible genetic and environmental factors in the occurrence of disease in a population whose incidence varies in different Geographic areas.